Tonsiloliths are best treated with:
1. Antibiotic
2. Hydrogen peroxide
3. Steroids
4. None of the above

Correct answer: 2. Hydrogen peroxide

Explanation: The treatment for these tonsillar concretions or chronic tonsillitis is aggressive mouth care, which includes irrigation of the tonsils or cleaning them with a cotton swab soaked in 3% hydrogen peroxide. With time, the cellular debris is often retained in the branching crypts and with recurrent formation of focal bacterial abscesses in the tonsillar parenchyma, which later undergoes fibrosis and scarring; local care may not control these symptoms. Tonsillar surgery and elimination of these cryptic structures may be needed to control these infections.